Spinal cord is opened from the :
1. Frontal approach
2. Back side
3. Lateral side
4. None of the above

Correct answer: 2. Back side

Explanation: B i.e. Back side